What is the total osmolarity of low osmolarity ORS?
1. 311 mmol/ litre
2. 300 mmol/ litre
3. 245 mmol/ litre
4. 250 mmol/ litre

Correct answer: 3. 245 mmol/ litre

Explanation: Composition of reduced osmolarity ORS: Components Amount in mmol/ litre Sodium 75 Chloride 65 Glucose, anhydrous 75 Potassium 20 Citrate 10 Total osmolarity 245 Ref: Park 21st edition, page 202.